Following are examples of human "dead end" disease except -
1. Bubonic plague
2. Japanies ecephalitis
3. Hydatid disease
4. Leishmaniasis

Correct answer: 4. Leishmaniasis

Explanation: Ans. is 'd' i.e., Leishmaniasis Dead and host o A dead end host is an infected person from which infectious agents are not transmitted to other susceptible host or from which a parasite cannot escape to continue its life cycle. o The diseases in which human acts as dead end host, i.e., dead and disease : ? Japanies encephalitis 3. Trichinosis 5. Bubonic plaque Echynococcosis (hydatid disease) 4. Tetanus